Function of the maxillary sinus is:
1. Protects the skull against mechanical shock.
2. Defence against bacterial infection.
3. It warms and moistens the inspired air.
4. All of the Above.

Correct answer: 4. All of the Above.

Explanation: Functional Importance and Clinical Considerations
Many functions are attributed to maxillary sinus. Being an air space it lessens the weight of skull, gives resonance to the voice and protects the skull against mechanical shock. It warms and moistens the inspired air. The lysozyme it produces is bactericidal and thus contributes to the defense against bacterial infections.